Snow banking is seen in:
1. Anterior uveitis
2. Posterior uveitis
3. Intermediate uveitis
4. None of these

Correct answer: 3. Intermediate uveitis

Explanation: Ans. (c) Intermediate uveitisRef: Khurana 4/e, p 216, 161